Prophylactic mastectomy is done for all of the following EXCEPT
1. Cyclical mastalgia
2. Family history of breast cancer
3. Presence of lobular carcinoma in situ
4. BRCA1 or BRCA2 mutation carriers

Correct answer: 1. Cyclical mastalgia

Explanation: (A) Cyclical mastalgia # PREVENTIVE or PROPHYLACTIC MASTECTOMY is an elective operation to remove the breasts so that the risk of breast cancer is reduced.# Indications for Prophylactic Mastectomy BRCA1 or BRCA2 mutation carriers; this is the main indication for bilateral prophylactic mastectomy. Cancer in one breast and a family history of breast cancer. Family history of breast cancer (Genetic risk can be passed down through mother's or father's side). Radiation therapy to the chest before the age of 30. Presence of lobular carcinoma in situ. Having dense breasts or breasts with diffuse microcalcification, as the screening for breast cancer is made difficult.# Cyclic Mastalgia or Cyclic Mastitis: Breasts are unusually tender and lumpy, with symptoms of pain & dull heaviness that vary with the menstrual cycle & is often associated with premenstrual syndrome (PMS). When the lumps become significant enough to be called cysts, the condition is called Fibrocystic breast disease.